Anti-GBM antibody-mediated Rapidly Progressive Glomerulonephritis is seen in
1. Postinfectious glomerulonephritis
2. IgA nephropathy
3. Lupus nephritis
4. Goodpasture syndrome

Correct answer: 4. Goodpasture syndrome

Explanation: Rapidly progressive glomerulonephritis (RPGN) is a syndrome associated with severe glomerular injury, characterized by rapid and progressive loss of the renal function associated with severe oliguria and signs of the nephritic syndrome.Anti-GBM antibody-mediated disease, characterized by linear deposits of IgG and, in many cases, C3 in the GBM. In some of these patients, the anti-GBM antibodies cross-react with pulmonary alveolar basement membranes to produce the clinical picture of pulmonary hemorrhage associated with renal failure (Goodpasture syndrome). Plasmapheresis to remove the pathogenic circulating antibodies is usually part of the treatment, which also includes therapy to suppress the underlying immune response.Ref: Robbins and Cotran Pathologic Basis of Disease; 9th edition; Chapter 20; The Kidney; Page no: 912